Orally acting direct thrombin inhibitor is ?
1. Bivalirudin
2. Ximelagatran
3. Melagatran
4. Argatroban

Correct answer: 2. Ximelagatran